Which of the following is treatment of Type I hypersensitivity
1. Histamine
2. IgA immunoglobulin
3. Sodium cromoglycate
4. Interleukin 5

Correct answer: 3. Sodium cromoglycate

Explanation: Sodium cromoglicate stabilises the mast cell membrane, inhibiting release of vasoactive mediators. It is effective as a prophylactic agent in asthma and allergic rhinitis, but has no role in acute attacks. It is poorly absorbed and therefore ineffective in the management of food allergies DAVIDSON'S 22 ND EDITION